All of the following conditions are observed in Marasmus, Except
1. Hepatomegaly
2. Muscle wasting
3. Low insulin levels
4. Extreme weakness

Correct answer: 1. Hepatomegaly

Explanation: Hepatomegaly is seen in kwashiorkor. The liver is enlarged with rounded lower margin and soft consistency in about one-third of cases. Histology shows fatty infiltration. Ref: Page 105; Ghai essential pediatrics; 6th edition